The cause of death in cyanide poisoning is -
1. Anoxic anoxia
2. Anaemic anoxia
3. Histotoxic anoxia
4. Stagnant anoxia

Correct answer: 3. Histotoxic anoxia